Guanosine triphosphate (GTP) is required by which of the following steps in protein synthesis?
1. Aminoacyl-tRNA synthetase activation of amino acids
2. Attachment of ribosomes to endoplasmic reticulum
3. Translocation of tRNA-nascent protein complex from A to P sites
4. Attachment of mRNA to ribosomes

Correct answer: 3. Translocation of tRNA-nascent protein complex from A to P sites

Explanation: . Translocation of tRNA-nascent protein complex from A to P sites. Two molecules of GTP are used in the formation of each peptide bond on the ribosome. In the elongation cycle, binding of aminoacyl-tRNA delivered by EF-Tu to the A site requires hydrolysis of one GTE Peptide bond formation then occurs. Translocation of the nascent peptide chain on tRNA to the P site requires hydrolysis of a second GTE The activation of amino acids with aminoacyl-tRNA synthetase requires hydrolysis of ATP to AMP plus PPi.